Dietary changes advocated by WHO for prevention of heart diseases include all of the following except?
1. A decrease in complex carbohydrate consumption
2. Reduction in fat intake to 20-30 percent of caloric intake
3. Consumption of saturated fats be limited to less than 10% of total energy intake
4. Reduction of cholesterol to below 100 mg per kcal per day

Correct answer: 1. A decrease in complex carbohydrate consumption

Explanation: A decrease in complex carbohydrate consumption